Cholinergic drug which acts on heart by decrease in levels of cAMP and due to opening of K+ channels is?
1. Methacholine
2. Oxotremorine
3. Bethanechol
4. DMPP

Correct answer: 1. Methacholine

Explanation: Ans. 'a' i.e., Methocholine